Best result in esophageal carcinoma in situ with:
1. Endoscopic mucosal resection
2. THE
3. TTE
4. PDT

Correct answer: 1. Endoscopic mucosal resection

Explanation: Ans. (a) Endoscopic mucosal resectionRef Sabiston 20th Edition, Page 1027-1035Treatment in cancer esophagus:High grade dysplasiaEndoscopic mucosal resection or esophagectomyLocalized esophageal cancer# T1 - Transhiatal esophagectomy # T2/T3 - Neoadjuvant ChemoRT+ Surgery# Cervical esophagus- Only ChemoRT# Thoracic Esophagus and Lower Esophagus - Surgery/ChemoRTLocally advanced inoperableChemoRT/SurgeryMetastatic diseaseOnly ChemoRTMalignant TEFCoated SEMS (Self Expanding Metallic Stents)